Mechanism of action of Penicilline and Cephalosporins gets together inhibit
1. Cell wall synthesis
2. Leakage from cell membrane
3. Protein synthesis
4. DNA gyrase

Correct answer: 1. Cell wall synthesis

Explanation: (Cell wall synthesis) (628-KDT) (668-KDT 6th)MECHANISM OF ACTION1 Inhibit cell wall synthesis: Penicillins, Cephalosporins, Cycloserine, Vancomycin, Bacitracin2 Causes leakage from cell membranes: Polypeptides, Polymyxins, Colistin, Bacitracin, Polyenes, Amphotericin-B, Nystatin, Hamycin.3 Inhibit protein synthesis: Tetracyclines, Chloramphanicol, Erythromycin, Clindamycin, Linezolid4 Causes misreading of m RNA code and affect permeability: Aminoglycosides, Streptomycin, Gentamicin etc5 Inhibit DNA gyrase: Fluoroquinolones, Ciprofloxacin6 Interfere with DNA function: Rifampin, Metronidazole7 Interfere with DNA synthesis: Idoxuridine, Acyclovir, Zidovudine8 Interfere with intermediary metabolism: Sulfonamides, Sulfones, PAS, Trimethoprim, Pyrimethamine, Ethambutol